Enzyme replacement therapy is available for ?
1. Gauchers disease
2. Galactosemia
3. Fructosuria
4. None

Correct answer: 1. Gauchers disease

Explanation: Ans. is 'a' i.e., Gauchers disease Enzyme replacement therapy refers to the replacement of missing enzyme, aificiallyGaucher's disease was the first one in which successful enzyme replacement therapy was tried.Enzyme replacement therapy is currently available for some lysosomal storage diseases :-Gaucher's disease Mucopolysaccharidosis I (Hurler)Fabry disease Mucopolysaccharidosis II (Hunter)Glycogen storage disease type II Mucopolysaccharidosis VI